All of the following are risk factors for deep vein thrombosis (DVT) except:
1. Obesity
2. Age less than 40 years
3. Duration of surgery more than thirty minutes
4. Use of the oestrogen-progesterone contraceptive pills

Correct answer: 2. Age less than 40 years

Explanation: Patients over the age of 40 years is a risk factor for DVT. High dose estrogen therapy is also associated with DVT. Ref: Bailey and Love's Short Practice of Surgery, 24th Edition, Page 970.